In the sodium-calcium exchanger (NCX), the ratio of Na+ : Ca++ exchange per event is:
1. 6:01
2. 3:01
3. 1:01
4. 1:03

Correct answer: 2. 3:01

Explanation: NCX (sodium and calcium exchanger) is present in the myocardial fiber. It exchanges 3 Na+ with 1 Ca++. That is, 3 sodium ions are moved out of the cell for every 1 calcium ion brought in (L type Ca channels).